Lipid peroxidation as a cause of ageing and injury of cell is:
1. Free radical theory
2. Apoptosis theory
3. Enzyme cascade theory
4. Cell destruction theory

Correct answer: 1. Free radical theory

Explanation: Ans: a (Free radical theory)Ref: Robbin's, 7th ed, p. 125 & 6th ed, p. 48Free radicals produced during injury or' aging cause oxidative decomposition of the lipid. Due to oxidative decomposition organic peroxides are formed after reacting with oxygen (lipid peroxidation).This reaction is auto-catalytic i.e., new radicals are formed from the peroxide radicals themselves. These radicals cause structural and functional breakdown of endoplasmic reticulum.